Most commonly abused opioid -
1. Morphine
2. Diacetylmorphine
3. Oxycodine
4. Bupremorphine

Correct answer: 2. Diacetylmorphine

Explanation: Diacetylmorphine (heroin) is the most commonly abused opioid.